Long-term use of tamoxifen may cause
1. Endometrial CA
2. Cervical CA
3. Vaginal CA
4. Ovarian CA

Correct answer: 1. Endometrial CA

Explanation: Tamoxifen acts as an anti-estrogen in breast tissue, but it acts like an estrogen in the uterus. In women who have gone through menopause, it can cause endometrial hyperplasia, which increases the risk of endometrial cancer.Though the risk of developing endometrial cancer from tamoxifen is low (less than 1% per year).